The number of Neurofibromas as one of the diagnostic criteria for adult neurofibromatosis type-I
1. 1
2. 2
3. 4
4. 6

Correct answer: 2. 2

Explanation: Answer- B. 2